Which of the following associated with the highest cardiac mortality
1. Rofecoxib
2. Nicorandil
3. Losartan
4. Metaprolol

Correct answer: 1. Rofecoxib

Explanation: Refer kDT 6/e p 534 Angiotensin receptor blocker like losartan and Beta blocker like my temporal all are cardioprotective in congestive heart failure. This decrease the mortality Nicorandil is a potassium channel openers used in angina. It is cardioprotective in causing ischaemic preconditioning Rofecoxib is a selective COX 2 inhibitors. That was withdrawn due to increased risk of myocardial infarction